True about Rheumatic carditis –
1. Only endocarditis
2. Only myocarditis
3. Only Pericarditis
4. Pancarditis

Correct answer: 4. Pancarditis

Explanation: Rheumatic carditis

Seen in 40-60% of patients
Usually seen within 3 weeks.
It is a pancarditis involving all the three layers ---> Myocardium, endocardium & Pericardium.
Rheumatic carditis is the only manifestation of acute RF that has the potential to cause long term disability and death.
The diagnosis of rheumatic carditis requires presence of one of the following.

o Organic cardiac murmurs not present previously.            o Cardiomegaly
o Congestive heart failure                                                         o Pericarditis